Massive aminoaciduria without a corresponding increase in plasma amino acid level is characteristic of which one of the following diseases ?
1. Homocystinuria
2. Hartnup disease
3. Tyrosinemia
4. Maple syrup urine disease

Correct answer: 2. Hartnup disease

Explanation: Hartnup disease (also known as "pellagra-like dermatosisand "Hartnup disorder") is an autosomal recessive metabolic disorder affecting the absorption of nonpolar amino acids (particularly tryptophan that can be, in turn, converted into serotonin, melatonin, and niacin). Niacin is a precursor to nicotinamide, a necessary component of NAD+ The causative gene, SLC6A19, is located on chromosome 5.It is named after the English family, Hartnup, who suffered from this disease. Reference: GHAI Essential pediatrics, 8th edition